The facial nerve controls all of the following functions except:
1. Intensity of the sound reaching the ear
2. Lacrimation
3. Salivation
4. Swallowing

Correct answer: 4. Swallowing

Explanation: Facial Nerve descends in the posterior wall of the middle ear, behind the pyramid, and emerges through the stylomastoid foramen into the neck.The greater petrosal nerve arises from the facial nerve at the geniculate ganglion.It contains secretomotor (parasympathetic) fibers to the lacrimal gland, submandibular and sublingual salivary glands, and the glands of the nose,the palate and the pharynxThe nerve is joined by the deep petrosal nerve from the sympathetic plexus and forms the nerve of the pterygoid canal which ends in the pterygopalatine ganglion.The nerve to the stapedius arises from the facial nerve which supplies the muscle within the pyramid.The chorda tympani arises from the facial nerve just above the stylomastoid foramen. The nerve leaves the middle ear through the petrotympanic fissure and enters the infratemporal fossa, where it joins the lingual nerve. The chorda tympani contains taste fibers from the mucous membrane covering the anterior two thirds of the tongue (not the vallate papillae) and the floor of the mouth.